Abortion at 11 weeks of pregnancy can be done by:
1. Suction evacuation
2. Hypertonic saline
3. Ethacrydine lactate
4. Oxytocin

Correct answer: 1. Suction evacuation

Explanation: Ans. Suction evacuation